Person is not able look down. WTiich extra ocular muscle is affected:
1. Inferior oblique
2. Inferior rectus
3. Superior rectus
4. Lateral rectus

Correct answer: 2. Inferior rectus

Explanation: Ans. (b) Inferior rectusRef : A.K. Khurana 6th ed. / 337-39* The function of inferior rectus is depression of eyeball, which helps to see down.* Its yoke muscle is superior oblique, which also has the similar function as inferior rectus.